Patient with occipito posterior position. What is the management
1. Wait and watch for progress of labour
2. Cesarian section
3. Oxytocin influsion
4. Rupture of membranes

Correct answer: 1. Wait and watch for progress of labour

Explanation: Wait and watch for progress of labour Occipito posterior_position In vertex presentation when the occiput is placed posteriorly over the sacroiliac joint or directly over the sacrum, it is called an occipito posterior position. Occiput posterior is an abnormal position of the vertex rather than an abnormal presentation. An effective second stage is seen in the majority of cases (80%) and results in spontaneous anterior rotation of the occiput and ,follows the course like that of an occipitoanterior and moreover in certain types of pelvis (anthropoid) it is the favourable position. In these cases the, fetus is born in face to pubis delivery,. In the remaining cases the head is arrested in the posterior position. The various mechanisms leading to arrest are: Partial anterior rotation Deep transverse arrest Non rotation Oblique posterior arrest Malrotation Occipito sacral position In these cases obstetrical intervention is required which can be either foreceps, ventouse or cesarean depending upon the situation.